Increase in Pauwel's angle indicate -
1. Good prognosis
2. Impaction
3. More chances of displacement
4. Trabecular aligmnent disrupted

Correct answer: 3. More chances of displacement

Explanation: The more the angle, the more unstable is the fracture, and worse the prognosis.